Bicornuate uterus belongs to which class according to WHO classification of Mullerian duct anomalies
1. Class II
2. Class III
3. Class IV
4. Class V

Correct answer: 3. Class IV

Explanation: WHO classification of Mullerian duct anomalies
Class I - Mullerian agenesis
Class II - Unicornuate uterus
Class III - Uterus Didelphys
Class IV - Bicornuate uterus
Class V - Septate uterus
Class VI - Arcuate uterus
Class VII - DES related anomalies.